True about treatment of carcinoma left colon with acute obstruction
1. Hartman's procedure
2. Left colectomy with anastomosis
3. Proximal colostomy
4. All

Correct answer: 4. All

Explanation: Ans. is ' a ' , ' b ' , ' c '